In case of reimplantation of an amputated digit, which of the following structures is fixed first?
1. Nerve
2. Artery
3. Vein
4. Bone

Correct answer: 4. Bone

Explanation: REIMPLANTATION OF AN AMPUTATED DIGIT - PROCEDURE Debride the area and clean the wound Fixation of bone Repair of extensor tendons Repair of flexor tendons Arterial repair Nerve repair Venous repair Closure of the skin wound Ref : maheswari 9th ed